True regarding Na+ ion
1. Responsible for Donnan effect
2. Responsible for resting membrane potential
3. Responsible for depolarization
4. Dose not help other ions in transport

Correct answer: 3. Responsible for depolarization

Explanation: Ans. (c) Responsible for depolarization(Ref: Guyton, 13th ed/p.65)Option a - Sodium ion is not Responsible for Donnan effect. This effect is due to non-diffusible anions like proteinsOption b - potassium ion is responsible for RMPOption d - many substances require sodium for their transport through secondary active transport processes